Most common site for the initiation of otosclerosis is:
1. Footplate of stapes
2. Margins of stapes
3. Fissula antefenestrum.
4. Fissula post fenestram

Correct answer: 3. Fissula antefenestrum.

Explanation: Ans. C Fissula antefenestrum.Most common type of otosclerosisMost common site of otosclerosisMost common site for stapedial otosclerosisMost common site for cochlear otosclerosisStapedial otosclerosisFissula ante fenestram (. just in front of oval window)Fissula ante fenestram (. just in front of oval window)Round window